Regarding furosemide true statement is:
1. Acute pulmonary edema is an indication
2. Acts on PCT
3. Mild diuresis
4. Given only by parenteral route

Correct answer: 1. Acute pulmonary edema is an indication

Explanation: Ans. (A) Acute pulmonary edema is an indication(Ref: Katzung 10/e p250)Furosemide possesses vasodilatory action which is responsible for quick relief in LVF and pulmonary edema (used i.v.). It can be used orally as well as parenterally.